Commonest type of lung carcinoma in non-smokers is
1. Squamous cell carcinoma
2. Small cell carcinoma
3. Adenocarcinoma
4. Alveolar cell carcinoma

Correct answer: 3. Adenocarcinoma

Explanation: The most common lung carcinoma arising in life time non smokers is adenocarcinoma Commonest lung carcinoma in wolrd Common in females Ref Harrison 19th edition pg 515